Transverse ulcers are seen in
1. Typhoid
2. Tuberculosis
3. Amoebiaisis
4. Ulcerative colitis

Correct answer: 2. Tuberculosis

Explanation: Robbins page no Pg p376 This very rare affection of unknown origin, achieves a macroscopic and microscopic aspect similar to that described by Cruveillhier at the level of the stomach. The authors present a case of ulcer located on the transverse colon, at the free margin, with stenosing evolution and coexisting with duodenal ulceration of chronic character. The patient also had portal hypertension in the third stage and arteriopathy that had been diagnosed previously. Macroscopically, TB classically causesulceration, short strictures, marked thickening of the bowel wall due to inflammation, fibrosis and adhesions, or a combination of these. The ulcers are transverse, often circumferential, with ill-defined, sloping or overhanging edges